History of dislike for sweet food items is typically present in -
1. Diabetes mellitus
2. Glycogen storage disease
3. Hereditary fructose intolerance
4. None

Correct answer: 3. Hereditary fructose intolerance